Which 2 additional enzymes required in Beta Oxidation of PUFA?
1. Dienoyl CoA isomerase and Enoyl CoA reductase
2. Dienoyl CoA isomerase and Dienoyl CoA reductase
3. Enoyl CoA racemase and Enoyl CoA reductase
4. Enoyl CoA isomerase and 2,4 Dienoyl CoA reductase

Correct answer: 4. Enoyl CoA isomerase and 2,4 Dienoyl CoA reductase

Explanation: Ans. is 'd' i.e., Enoyl CoA isomerase and 2,4 Dienoyl CoA reductase* Saturated Fatty acid oxidation begins with acyl CoA dehydrogenase acting on a fatty acid.* If Unsaturated fatty acid has to be oxidized, first unsaturated fatty acids have to be reduced to saturated fatty acids. This step requires 2,4 Dienoyl CoA reductase. This enzyme can act on only A2 trans fatty acids.* So, if the Unsaturated fatty acid that is undergoing oxidation has a cis A3 bond, then Enoyl CoA isomerase converts into trans - A2 bond. This is then acted upon by 2,4 Dienoyl CoA reductase to form a saturated fatty acid. It then gets oxidized.* For b oxidation of saturated fatty acids, the enzymes required are# Carnitine Acyl Palmitoyl Transferase I# Carnitine Acyl Palmitoyl Transferase II# Acyl CoA dehydrogenase# Hydratase# b hydroacyl coA dehydrogenase# Thiolase